The most easily perforated tooth with a slight mesial or distal angulation of bur after a mandibular central incisor is:
1. Maxillary premolar
2. Maxillary molar
3. Mandibular premolar
4. Maxillary canine

Correct answer: 1. Maxillary premolar